All of the following muscles of the shoulder girdle helps in abduction of the upper limb, EXCEPT?
1. Deltoid
2. Supraspinatus
3. Latissimus dorsi
4. Long head of biceps brachii

Correct answer: 3. Latissimus dorsi

Explanation: Latissimus dorsi helps in adduction of the upper limb. Muscles involved in abduction of the upper limb are:DeltoidSupraspinatusLong head of biceps brachiiSerratus anterior and trapezius helps in this movement by producing slight rotation of the scapula.Adductors of the upper limb are:Teres majorLatissimus dorsiPectoralis majorLong head of the triceps brachiiShort head of the biceps brachiiClavicular and spinal parts of the deltoid